Azotemia appears when residual GFR is:
1. 50% -80 % of normal
2. 20-50% of normal
3. 10 -20% of normal
4. < 5% of normal

Correct answer: 2. 20-50% of normal

Explanation: Answer is B (20-50% of Normal): Azotemia appears in the stage of Renal Insufficiency when the residual renal function (Residual GFR) is between 20 to 50 percent of normal.